In the management of long bone fracture following can be done:
1. Intramedullary nailing
2. Plating
3. External fixation
4. All of the above

Correct answer: 4. All of the above

Explanation: A i.e. Intramedullary nailiging; B i.e. Plating; C i.e. External fixation